Globus pallidus, putamen are present in-
1. Pons
2. Basal ganglia
3. Thalamus
4. Cerebellum

Correct answer: 2. Basal ganglia